The cause of oedema in Nephritic syndrome is -
1. Decreased in plasma protein concentration
2. Increased in plasma protein concentration
3. Reduced plasma osmotic pressure
4. Sodium and water retension

Correct answer: 4. Sodium and water retension

Explanation: Ans. is 'd' i.e., Sodium and water retensiono Cause of edema:?(i) In nephrotic syndrome --> Hypoproteinemia ( decreased plasma protein concentration) and edema is massive.(ii) In nephritic syndrome --> results from sodium and water retention and edema is usually mild.